True regarding child labor act -
1. Does not include children aged 12-14 years
2. does not include children in wool cleaning
3. Does not include children in cashew decalding and processing
4. Excludes school based activities

Correct answer: 4. Excludes school based activities

Explanation: Park's textbook of preventive and social medicine 23rd edition. * Children under the age of 15,except in process of family based work or recognised school based activities, not permitted to work in carpet weaving cement manufacturing, wool cleaning,cashew descalding and processing.